Most common testicular tumor in elderly is:
1. Seminoma
2. Spermatocytic seminoma
3. Yolk sac tumor
4. Lymphoma

Correct answer: 4. Lymphoma

Explanation: LYMPHOMA M/c Testicular tumor seen in Elderly B/L M/E- Diffuse Large B Cell Lymphoma Malignant tumor Poor prognosis